Mania is a
1. Mood disorder
2. Psychological Disorder
3. Obsessive disorder
4. Neurotic disorder

Correct answer: 1. Mood disorder

Explanation: According to ICD-10 mood disorders are classified as Manic episodes Depressive episodes Bipolar mood disorder Recurrent depressive disorder Persistent mood disorder Other mood disorders (including mixed effective episodes and recurrent brief depressive disorder) (Ref: a short textbook of psychiatry, Niraj Ahuja, 7th edition, pg no.69)